Kata Thermometer is used to measure-
1. Maximum temperature
2. Minimum temperature
3. Radiant heat
4. Cooling power of air

Correct answer: 4. Cooling power of air

Explanation: Ans. is 'd' i.e., Cooling power of air Instruments MeasureSling psychrometer} Assmann psychrometerHumidityDry & wet bulb hygrometer Kata thermameter-Cooling power and air velocityGlobe thermameter-Radiant tempratureAnemometer-Air velocityWind vane-Wind (air) directionSound level meter-Intensity of soundBond frequency analyzer-Characteristic (pitch) of sound